Which among the following is an age - independent index
1. Dugdale index
2. Kanawati and Mclaren index
3. All of the above
4. None of the above

Correct answer: 3. All of the above

Explanation: Age - independent indices